Peripheral edema in CCF is due to-
1. Increased hydrostatic pressure
2. Increased osmotic pressure
3. Decreased proteins
4. Decreased aldosterone

Correct answer: 1. Increased hydrostatic pressure

Explanation: Ans. is 'a' i.e., Ted Hydrostatic pressure o During heart failure as a result of cardiac pump dysfunction there is decrease in stroke volume, cardiac output, blood pressure and perfusion.o This is sensed bv carotid sinus receptors, aortic arch and renal afferent arterioles, as a result there is -Augmentation of sympathetic outflowActivation of Renin - angiotensin aldosterone systemQ.Non osmotic release of arginine vasopressin0.o This leads to heightened peripheral vasoconstrictbion and increased sodium water retention. Eventually the goal of plasma volume expansion is met, but at the expense of circulatory and tissue congestion i.e. edema.o Remember that increased vasoconstriction and sodium water retention causes increased capillary hydrostatic pressure.